A female patient aged 40 years comes for routine general examination. Full mouth radiographs are taken. Oval shaped radiolucent areas are seen in the root canals of maxillary central incisors Teeth are asymptomatic and show feeble response to vitality tests.

How do you obturate the canal?
1. Thermafill technique
2. Vertical compaction technique
3. Thermoplasticised gutta-percha technique
4. Lateral compaction technique

Correct answer: 3. Thermoplasticised gutta-percha technique

Explanation: THERMOPLASTICIZED INJECTABLE GUTTA-PERCHA OBTURATION
(Obtura II Heated Gutta-percha System/High Heat System)
This technique was introduced in 1977 at Harvard institute.
Indication for using obtura II

Roots with straight or slightly curved canals. 
For backfilling of canals. 
For obturation of roots with internal resorption, perforations, etc. 

Key concept: 
For any kind of root resorption, thermoplasticized GP obturation technique is preferred.